Prerequisite for outlet forceps application are all except:
1. Engaged head
2. Fully dilated cervix
3. Uterus contracting
4. Station 0 or +1

Correct answer: 4. Station 0 or +1

Explanation: Ans. is d, i.e. Station 0 or +1The outlet forceps are applied when station of fetal head is >=+3 station and not at 0 or +1.Rest all options are prerequisites of forceps application in general